An acute inflammatory focus would attract:
1. Monocytes
2. Plasma cells
3. Neutrophils
4. Basophils

Correct answer: 3. Neutrophils